Paget's disease of the nipple is
1. Superficial manifestation of underlying breast Ca
2. Galactocele
3. Eczema
4. All of the above

Correct answer: 1. Superficial manifestation of underlying breast Ca

Explanation: Paget's disease of the nipple is superficial manifestation of an intraductal breast carcinoma. The malignancy spreads within the duct up to the skin of the nipple and down into the substance of the breast. It mimics eczema of nipple and areola. In Paget's disease, there is a hard nodule just underneath the areola, which later ulcerates and causes destruction of nipple. Histologically, it contains large, ovoid, clear Paget's cells with malignant features. Paget's hyperchromatic cells are located in rete pegs of epidermis containing intracellular mucopolysaccharides as clear halo in cytosol. Reference : page 533 SRB's manual of surgery 5th edition